Memory impairment occurs in embolism of posterior cerebral artery because of damage to :
1. Hipppocampal gyrus
2. Superior temporal gyrus
3. Prefrontal gyrus
4. Angular gyrus

Correct answer: 1. Hipppocampal gyrus

Explanation: Answer is A (Hippocampal gyrus): `Medial temporal lobe and Hippocampal involvement may cause an acute disturbance in memory particularly of it occurs in the dominant hemisphere' - Harrisons 16th